Which is not a characteristic of a typical cervical vertebra?
1. Has a triangular vertebral canal
2. Has foramen transversarium
3. Superior articular facet is directed backwards and upwards
4. Has a large vertebral body

Correct answer: 4. Has a large vertebral body